Association fibers are -a) Uncinate fasciculusb) Cingulumc) Superior longitudinal fasciculusd) Corpus callosum
1. ab
2. bc
3. acd
4. abc

Correct answer: 4. abc